Nasal septum is formed by all except:
1. Turbinate
2. Vomer
3. Palatine bone
4. Maxilla

Correct answer: 1. Turbinate

Explanation: Nasal septum is the osseocartilagenous partition between the two halves of nasal cavity. Its constituents are 1. Osseous part The vomer Rostrum and crest of sphenoid Nasal crest of maxillary bone Perpendicular plate of ethmoid Nasal crest of nasal bone Nasal spine of frontal bone Nasal crest of palatine bone Nasal crest of maxillary bone 2. Cartilaginous part Septal (Qudrilateral) cartilage